Which of the following is true for 8yr old boy.
1. 8 Permanent, 16 Temporary tooth
2. 4 Temporary, 20 Permanent tooth
3. 12 Temporary, 12 Permanent tooth
4. 4 Permanent, 20 Temporary tooth

Correct answer: 3. 12 Temporary, 12 Permanent tooth

Explanation: Number of permanent teeth = (Age - 5 ) × 4
So, Number of permanent teeth = (8 - 5 ) × 4 = 12